All of the following are seen in cardiac arrest except:
1. Electromechanical dissociation
2. Atrial fibrillation
3. Ventricular fibrillation
4. Ventricular tachycardia

Correct answer: 2. Atrial fibrillation

Explanation: Ans: b (Atrial fibrillation) Ref: Davidson, 20th ed, p. 555This is a direct pick from Davidson.Cardiac arrest may be due to ventricular fibrillation, ventricular tachycardia, electromechanical dissociation or ventricular asystole.Cause of cardiac arrest1) VF and pulseless VT -- Most common and most easily treatable cause of sudden death.2) Ventricular asystole -- This occurs when there is no electrical activity in the ventricles resulting in absent cardiac output.3) Electromechanical dissociation -- This occurs when there in no effective cardiac output despite the presence of normal electrical activity.